Chancre redux is a clinical feature of -
1. Early relapsing syphilis
2. Late syphilis
3. Chancroid
4. Recurrent herpes simplex infection

Correct answer: 1. Early relapsing syphilis